Brinzolamide is
1. Competitive and reversible carbonic anhydrase inhibitor
2. Non-competitive and reversible carbonic anhydrase inhibitor
3. Competitive and irreversible carbonic anhydrase inhibitor
4. Non-competitive and irreversible carbonic anhydrase inhibitor

Correct answer: 2. Non-competitive and reversible carbonic anhydrase inhibitor

Explanation: Carbonic anhydrase (CAse) is an enzyme which catalyses the reversible reaction H2O + CO2 - H2C03 Hence, Carbonic anhydrase functions in CO2 and HC03 transport and in H+ ion secretion. Carbonic anhydrase inhibitors act by non-competitive but reversible inhibition of the enzyme -Decreases the production of aqueous humor from ciliary body epithelium. Ex: Acetazolamide, dorzolamide and Brinzolamide.